The major ion in extracellular compartment
1. K+
2. Na+
3. Cl-
4. HCO3-

Correct answer: 2. Na+

Explanation: Ans: b (Na+) Ref: Ganong 22nd ed/ p. 30, 32Most abundant ion in ECF is Na+.ECFMost abundant ion - Na+Most abundant cation - Na+Most abundant anion - Cl-ICF:-Most abundant cation - K+Most abundant anion - PO43- (followed by protein).ECF contains more of Na+, Cl-, HCO3, Ca2+.ICF contains more of K+, PO4, organic anion, protein, magnesium.